All of the following drugs are useful in the treatment of a patient with acute bronchial asthma except
1. Ipratropium
2. Salbutamol
3. Montelukast
4. Hydrocortisone

Correct answer: 3. Montelukast